Brachial plexus injury with horners syndrome, nerve root level involved is -
1. C5
2. C6
3. C7
4. T1

Correct answer: 4. T1

Explanation: Ans. is 'd' i.e., T1 Horner's syndrome* It is seen in patients with brachial plexus injury with lesion at T1 root level.* In it T1 root is injured proximal to white ramus communicans to first thoracic sympathetic ganglion.* Patient presents with ptosis, miosis, anhydrosis, enophthalmos, and loss of ciliospinal reflex-may be associated.* Loss of ciliospinal reflex is seen as sympathetic fibres to the head and neck leave the spinal cord through nerve T1.